Visceral larva migrans is due to:
1. Ascariasis
2. Toxocara canis
3. Schistosomiasis
4. Clonorchis Buski

Correct answer: 2. Toxocara canis

Explanation: Toxocara canis